Inhalational agent of choice for neurosurgery ?
1. Halothane
2. Enflurane
3. Isoflurane
4. N20

Correct answer: 3. Isoflurane

Explanation: Ans. is 'c' i.e., Isoflurane Anaesthetic agents of choice for vaous conditions Day care : Ischemic heart disease : Congenital heart disease Left to right shunt : Right to left shunt : CHF : Shock To produce delibrate hypotenion Epilepsy : For electroconvulsive therapy : Thyrotoxicosis : Cardiac surgery : Neurosurgery : Propofol Etomidate Isoflurane Ketamine Ketamine Ketamine Isoflurane Thiopentone Methohexitone Thiopentone Isoflurane Isoflurane